Training duration of Traditional birth attendant (TBA) is
1. 1 month
2. 3 months
3. 4 months
4. 12 months

Correct answer: 1. 1 month

Explanation: Traditional birth attendant (TBA) Location - village level Population norm - 1/1000 Education - NO Training - 30 days (1 months)